Most common cause of fracture of roof of orbit
1. Blow on back of head
2. Blow on parietal bone
3. Blow on the forehead
4. Blow on the upper jaw

Correct answer: 3. Blow on the forehead

Explanation: "Orbital roof fracture should be suspected in any child presenting with blunt injury to the brow or forehead with subsequent development of a hematoma of the upper lid in the hours following injury ". — Pediatric ophthalmology